All of the following are the features of Horner's syndrome Except-
1. Ptosis and Miosis in ipsilateral eye
2. Anhydrosis of ipsilateral face
3. Hetrochromia irides
4. Apparent exophthalmos

Correct answer: 4. Apparent exophthalmos

Explanation: Horner's syndrome consists of classical triad of ipsilateral i) Ptosis, ii) Miosis, iii) Anhydrosis (Loss of sweating)
Other features are :- Loss of cilio-spinal reflex, Enophthalmos, Heterochromia (ipsilateral iris is of light colour), the pupil is slow to dilate, slight elevation of inferior eyelid, normal pupillary reflex.